An adult hypertensive male presented with sudden onset severe headache and vomiting. On examination, there is marked neck rigidity and no focal neurological deficit was found. The symptoms are most likely d/t -
1. Intracerebral parenchymal hemorrhage
2. Ischemic stroke
3. Meningitis
4. Subarachnoid hemorrhage

Correct answer: 4. Subarachnoid hemorrhage